ANCA negative vasculitis amongst the following is:
1. Wegner granulomatosis
2. Churg strauss syndrome
3. Polyarteritis nodosa
4. Microscopic polyangiitis

Correct answer: 3. Polyarteritis nodosa

Explanation: ANCA 2 types P-ANCA |aka MPO ANCA C-ANCA | aka PR3 ANCA Associated with - Churg strauss Syndrome Microscopic Polyangiitis Associated with - Wegner's Granulomatosis Polyarteritis Nodosa is example of ANCA negative vasculitis. Polyarteritis nodosa is Type III Hypersensitivity reaction. It is the example of fibrinoid necrosis. It is associated with Hepatitis B infection.